The sharp line angles in gold  give which of the following:
1. Outline form
2. Convenience form
3. Resistance form
4. Retention form

Correct answer: 2. Convenience form

Explanation: Sharp internal line and point angles are created in dentin to allow convenient “starting” gold foil as compaction begins. Rounded form is permitted when E-Z Gold is used to begin the restorative phase. Removal of remaining carious dentin, inal planing of cavosurface margins, and debridement complete the tooth preparation for direct gold.
Sturdevant operative dentistry, Seventh edition ; page no: e73